Which is false about stress incontinence?
1. Coincides with period of raised Intra abdominal pressure
2. There is no complain of urge to pass urine
3. Associated with alteration of the urethero-vesical angle
4. There is Unconscious loss of urine

Correct answer: 4. There is Unconscious loss of urine

Explanation: STRESS URINARY INCONTINENCE episodic loss of urine and coincides precisely to the period of raised intra-abdominal pressure, like coughing, laughing or sneezing not associated with a desire to pass urine. Patients are fully aware of it & the amount of loss is small.